Which is not the karyotype of Turners syndrome
1. 46 XX, i(Xq)
2. 45 XO
3. 46 XX, i(Xp)
4. 46 XX, r(X)

Correct answer: 3. 46 XX, i(Xp)

Explanation: A chromosomal disorder in which a female is born with only one X chromosome Turner syndrome (TS), also known 45,X, or 45,X0, is a genetic condition in which a female is partly or completely missing an X chromosome. Signs and symptoms vary among those affected. Often, a short and webbed neck, low-set ears, low hairline at the back of the neck, short stature, and swollen hands and feet are seen. Refer robbins 166-167